All of the following are the adverse effects of tacrolimus except -
1. Nephrotoxicity
2. Neurotoxicity
3. Hirsutism
4. Hyperglycemia

Correct answer: 3. Hirsutism

Explanation: Ans. is 'c' i.e., Hirsutism